The plastic cover of a syringe can be disposed appropriately in which of the following bags?
1. Red bag
2. Yellow bag
3. Black bag
4. Blue bag

Correct answer: 3. Black bag

Explanation: Plastic cover of syringe being general non infectious waste is disposed in black bag. Black bag is used for collecting dry waste material which is not infectious. Materials like paper, plastics, cardboard boxes, and other dry waste generated in hospital office or in the wards are disposed in this bag. This is not biomedical waste. Red bag is used for the disposal of plastics collected from operation theaters, ICUs and wards. Yellow bag is used for highly infectious items like pathological waste, human anatomical waste such as body parts, amputated parts/organs, tumors, placentas, aborted or dead fetuses, blood soaked cotton bandages, animal tissues, organs, carcasses etc. Blue or White opaque bag is used for collecting the segregated metal sharps such as needles, blades, saws, scalpels and glass pieces.